A 12 yead old girl has history of recurrent bulky stools and abdominal pain since 3 year of age. She has moderate pallor and her weight and height are below the 3rd percentile. Which of the following is the most appropriate investigations to make a specific diagnosis ?
1. Small intestinal biopsy
2. Barium studies
3. 24 hrs fecal fat estimation
4. Urinary d-xylose test

Correct answer: 1. Small intestinal biopsy

Explanation: Ans. is 'a' i.e., Small intestinal biopsy o Clinical profile of the child given in question make the diagnosis of malabsorption syndrome associated with chronic diarrhoea. o Intestinal biopsy is necessary to differentiate chronic diarrhoea due to different pathophysiologic reasons. o Work-up of a child suspected to have chronic diarrhoea and malabsorptions includes the following investigations ? Repeated stool examination (especially for giardia), Fecal fat excretion studies, D-xylose test, Intestinal biopsy, Specific tests e.g. sweat chloride for cystic fibrosis, serology for celiac disease, exocrine pancreatic function.